Which of the following does not affect the metabolism of Theophylline?
1. Erythromycin
2. Smoking
3. Cimetidine
4. Steroids

Correct answer: 4. Steroids

Explanation: Steroids does not affect metabolism of theophylline. Smoking is found to increase clearence of theophylline. Drugs increasing the clearence of theophylline are rifampicin, phenobarbitone and ethanol. Drugs inhibiting the clearence are cimetidine, erythromycin, ciprofloxacin, allopurinol and zileuton.